School water fluoridation was first initiated in
1. Seagrove, North Carolina
2. St. Thomas virgin islands
3. Elk lake, Pennsylvania
4. Pike country, Kentucky

Correct answer: 2. St. Thomas virgin islands